The most favourable prognosis of the type of root
fracture is seen in
1. Apical third
2. Middle third
3. Cervical third
4. Junction of middle and cervical third

Correct answer: 1. Apical third